How many Lactiferous ducts open in nipple -
1. 0-10
2. 15-20
3. 25-50
4. 50-75

Correct answer: 2. 15-20

Explanation: Ans. is 'b' i.e., 15-20 o The nipple is pierced by 15-20 lectiferous ducts.